An 8-year-old boy was suffering from a severe infection of the right middle ear. Within the course of a week, the infection had spread to the mastoid antrum and the mastoid air cells. The organisms did not respond to antibiotics, so the surgeon decided to perform a radical mastoid operation. Following the operation, it was noticed that the boy's face was distorted. The mouth was drawn upward to the left, and he was unable to close his right eye. Saliva tended to accumulate in his right cheek and dribble from the corner of his mouth. What structure was most likely damaged during the operation?
1. Mandibular nerve
2. Parotid duct
3. Vagus nerve
4. Facial nerve

Correct answer: 4. Facial nerve

Explanation: Of the answer choices listed, the left facial nerve of the patient is the most likely to be damaged during the mastoidectomy. The facial nerve exits the skull via the stylomastoid foramen, just anterior to the mastoid process. A lesion of the facial nerve is likely to cause the symptoms described as a result of paralysis of the facial muscles. Depending upon the site of injury, the patient could also lose the chorda tympani branch of the facial nerve, leading to loss of taste from the anterior two thirds of the tongue ipsilaterally as well as loss of functions of the submandibular and sublingual salivary glands. The other nerves listed are not likely to be damaged during a mastoidectomy.